According to which section, If a witness is forced to give an answer admitting his guilt, he cannot be arrested or prosecuted for it and it is also not taken as proof against him in any criminal proceeding
1. S. 132 IEA
2. S.151 IEA
3. S.152 IEA
4. S.148 IEA

Correct answer: 1. S. 132 IEA

Explanation: - S. 132 IEA - If a witness is forced to give an answer admitting his guilt, he cannot be arrested or prosecuted for it and it is also not taken as proof against him in any criminal proceeding - S.151 IEA - court can forbid indecent questions - S.152 IEA - court can disallow the questions which are insulting/offensive - S.148 IEA - lawyer may attack the character of the witness if material is available